IPC 197 is related to -
1. Causing disappearance of evidence
2. Issuing false certificate by doctor
3. Giving false evidence
4. Examination of accused

Correct answer: 2. Issuing false certificate by doctor

Explanation: S.197, I.P.C.: Issuing or signing false certificate. Imprisonment up to 7 years. Ref: K.S.Narayan Reddy's Synopsis of Forensic Medicine &Toxicology, 29th edition,Chap 3, Page- 31.